Consumption of raw egg may lead to deficiency of
1. Biotin
2. Riboflavin
3. Thiamine
4. Avidin

Correct answer: 1. Biotin

Explanation: Biotin (formerly known as anti-egg white injury factor Boas (1927) observed that rats fed huge quantity of raw egg white developed dermatitis and nervous manifestations & retardation in growth found that feeding cooked egg did not produce any of these symptoms It was shown that the egg white injury in rats and chicks (Boas experiment) was due to the presence of an anti-vitamin in egg white The egg-white injury factor was identified as a glycoprotein- avidin and biotin was called as anti-egg white injury factor. ref Satyanarayana 4th ed page 146